Pterygium of nail is characteristically seen in -
1. Lichen planus
2. Psoriasis
3. Tinea unguium
4. Alopecia areata

Correct answer: 1. Lichen planus

Explanation: pterygium unguis is a wing like adhesion between the proximal nail fold and nail bed. Psoriasis-nail pitting. Page no.243. Reference Harrison20th edition